Which one of these anti hypertensives is contraindicated in pregnancy?
1. Hydralazine
2. α-Methyldopa
3. Nifedipine
4. Enalapril

Correct answer: 4. Enalapril